Epstein Barr virus is believed to be responsible for all of the following conditions, EXCEPT:
1. G.B syndrome
2. Transverse myelitis
3. Thrombocytosis
4. Lymphocytosis

Correct answer: 3. Thrombocytosis

Explanation: Ebstein Barr Virus usually causes atypical lymphocytosis with thrombocytopenia and neutropenic. The clinical diagnosis can be made from the characteristic triad of fever, pharyngitis, and lymphadenopathy lasting for 1 to 4 weeks. In a very few carriers of this virus causes the emergence of Burkitt's lymphoma and nasopharyngeal carcinoma. The incubation period ranges from 4 to 6 weeks. An increased total number of lymphocytes, greater than 10% atypical lymphocytes, and a positive reaction to a "mono spot" test are seen. In patients with symptoms compatible with infectious mononucleosis, a positive Paul-Bunnell heterophile antibody test result is diagnostic. This virus is associated with a higher risk of certain autoimmune diseases, especially dermatomyositis, systemic lupus erythematosus, rheumatoid arthritis, Sjogren's syndrome, GBS, transverse myelitis, and multiple sclerosis.